Posterior superior iliac spine is at the level of
1. L5
2. S1
3. S2
4. S3

Correct answer: 3. S2

Explanation: PSIS line identifies the S2 spinous process most frequently